The method to diagnosis misplaced intra uterine device is
1. Ultrasound
2. X-Ray abdomen (Erect view)
3. Uterine sound & Hysteroscopy
4. All of the above

Correct answer: 4. All of the above

Explanation: D i.e. All of above Investigation of choice in displaced IUD is Ultrasound, but we can also diagnose this by X-Ray abdomen (metal in IUD produces radioopaque shadow) & Hysteroscopy (Endoscopic visualization of uterus).